"Panda facies" is commonly seen after
1. Le fort I fractures
2. Le fort II fractures
3. Mandible fractures
4. None of the above

Correct answer: 2. Le fort II fractures